Which of the following is anteriorly related to the third part of duodenum
1. Portal vein
2. Head of pancreas
3. Hepatic artery
4. Superior mesenteric vein

Correct answer: 4. Superior mesenteric vein

Explanation: Superior mesenteric vein (and artery) cross the anterior to the third part of the duodenum to enter the mesentry of small intestine. Head of pancreas is in superior relation Anteriorly : Small bowel mesentry root and superior mesenteric artery. Posteriorly: Right psoas muscle, right ureter, gonadal vessels, aorta and IVC. Ref: Gray's Anatomy 41st edition Pgno: 1156